Which one of the following is not a prion associated disease -
1. Scrapie
2. Kuru
3. Creutzfeldt-Jakob's disease
4. Alzheimer's disease

Correct answer: 4. Alzheimer's disease